Cyanosis is seen in -
1. Persistent ductus arteriosus
2. Tricuspid atresia
3. Ostium primumASD
4. All

Correct answer: 2. Tricuspid atresia

Explanation: Ans. is 'b' i.e., Tricuspid atresia